At present following types of influenza viruses are circulating in the world, except-
1. H1N1
2. H3N2
3. H5N1
4. B virus

Correct answer: 3. H5N1

Explanation: At present three types of influenza viruses are circulating in the world : A (H1N1), A (H3N2) and B virus. WHO global surveillance activities have identified human infection with a new influenza viruse called A (H5N1) in Hong Kong in mid 1997. However, the possibility that the outbreak heralded a global influenza pandemics did not materialize. Ref: PARK'S TEXTBOOK OF PREVENTIVE AND SOCIAL MEDICINE , 23rd edition , Page :153